Which of the following is NOT a component of primary health care-
1. Adequte nutrition
2. Adequate housing
3. Safe water supply
4. Provision of essential drugs

Correct answer: 2. Adequate housing

Explanation: Elements of primary health care education concerning prevailing health problems and the method of preventing and controlling them Promotion of food supply and proper nutrition An adequate supply of safe water and basic sanitation Maternal and child health care including family planning Immunization against major infectious diseases Prevention and control of locally endemic diseases Appropriate treatment of common diseases and injuries Provisions of essential drugs (refer pgno:891 park 23rd edition)